In a case of direct occipitoposterior position (Face to pubis delivery) most commonly encountered problem is :
1. Intracranial injury
2. Cephalhematoma
3. Paraurethral tears
4. Complete perineal tears

Correct answer: 4. Complete perineal tears

Explanation: Complete perineal tears